Which of the following is not a vascular malformation?
1. Infantile haemangioma
2. Salmon patch
3. Port wine stain
4. Naevus aneamicus

Correct answer: 1. Infantile haemangioma

Explanation: Vascular birthmarks are broadly classified into: A) Vascular tumours B) Vascular malformations All the above mentioned conditions are vascular malformations except for haemangioma which is a vascular tumour. Note: salmon patch - synonyms --- stork bite or mark/ Nuchal stain Ref: Rook's textbook of dermatology, Edition-8, Page-18.40.